Supraglottic airway device is contraindicated for all except:-
1. Patient with risk of aspiration
2. Patient with poor lung compliance
3. Patient with limited mouth opening
4. Patient under general anesthesia

Correct answer: 4. Patient under general anesthesia

Explanation: Supraglottic airway devise is very commonly used during general anesthesia. The LMA is composed of a small mask designed to sit in the hypopharynx, with an anterior surface aperture overlying the laryngeal inlet . There are several contraindications to the use of LMA. It is contraindicated for use in patients who are at an increased risk of gastric aspiration. This list includes the patient with a history of obesity, hiatal hernia, gastroparesis, or trauma. . Bronchospasm, pulmonary edema, or morbid obesity results in high airway resistance or low pulmonary compliance. Inadequate ventilation and gastroesophageal insufflation result with assisted or controlled LM A ventilation. The placement of the LMA is dependent on opening the mouth and passing the airway along the posterior wall of the pharynx. An inability to open the mouth or an infection or pathologic abnormality within the oral cavity or pharynx, can interfere with the use of the LAM.